Ovaries secrete all of the following hormones except
1. Androstenedione
2. 17-α - Hydroxyprogesterone
3. Dehydroepiandrosterone
4. Dihydrotestosterone

Correct answer: 4. Dihydrotestosterone

Explanation: Ovary produces weak androgens 
→ Androstenedione
→ Dehydroepiandrosterone
But not Dihydrotestosterone.